Most commonly injured tarsal bone-
1. Talus
2. Navicular
3. Cunieform
4. Calcaneum

Correct answer: 4. Calcaneum

Explanation: *Calcaneum is the most commonly fractured tarsal bone. ref : maheswari 9th ed